In a certain population, there were 4050 births in the last one year. There were 50 stillbirths. 50 infants died within 7 days whereas 150 died within 28 days. What is the Neonatal mortality rate?
1. 50
2. 62.5
3. 12.5
4. 49.4

Correct answer: 1. 50

Explanation: Total number of births in one year = 4050No. of still births in that year = 50Hence, the total number of live births in that year would be4050 - 504000Total number of infants dying in the first 7 days = 50 Total number of infants dying in the next 21 days = 150Hence, the total number of infants dying in the first 28 days of birth= 50 + 150 Now,Neonatal mortality rate = number of neonatal deaths x 1000 / Total number of live births = 200 x 1000 / 4000 = 50